Type of force in a patient activated appliance is?
1. Interrupted
2. Intermittent
3. Continuous Interrupted
4. Continuous Intermittent

Correct answer: 2. Intermittent